Neonatal Jaundice first time appears in the 2nd week not a cause is –
1. Galactossemia
2. Rh Incompatibility
3. Hypothyroidism
4. Breast milk Jaundice

Correct answer: 2. Rh Incompatibility